Which of the following is used for treatment of myopia:
1. Nd: YAG laser
2. Excimer laser
3. Argon laser
4. Holmium laser

Correct answer: 2. Excimer laser

Explanation: Ans. Excimer laser